A patient sustained injury to the upper limb 3 yrs back; he now presents with valgus deformity in the elbow and paresthesias over the medial border of the hand. The injury is likely to have been:
1. Supracondylar humerus
2. Lateral condyle humerus
3. Medial condyle humerus
4. Postr dislocation of the humerus

Correct answer: 2. Lateral condyle humerus

Explanation: B i.e. Lateral condyle humerus With out question the most frequent problematic complication of lateral condyle fracture is delayed union or nonunion. This is because the fracture is intro - articular & is constantly exposed to synovial fluid , has poor blood supply and there is displacemet and constant motion at the fracture site from the pull of wrist extensors on the distal fragment. So if left untreated there is high probability of delayed union or nonunionQ. The treatment of lateral condyle fractures depend on amout of fracture displacement. Although there is controversy regarding the treatment of non displaced & minimally displaced fractures, there is a consensus that displaced lateral condyle fractures requires open reduction and internal fixationQ.